Histological finding of solitary rectal ulcer syndrome is:
1. Thick collagen band under endothelial layer
2. Intraepithelial collection of lymphocytes
3. Crypt hypoplasia
4. Increased muscle layer proliferation

Correct answer: 4. Increased muscle layer proliferation

Explanation: Mucosal prolapse syndrome/ solitary rectal ulcer syndrome d/t chronic mechanical stimulation Recognized in prolapsing colostomies, inflammatory polyps, solitary ulcer or prolapsing hemorrhoid at the site of rectum - Microscopically, there is Intercryptal erosion, hyperplasia of crypts (some have peculiar diamond shape). Obliteration of lamina propria by fibroblasts, elastin & smooth muscle cells from muscularis mucosae Reduction in number of lymphocytes & plasma cells Thickening of the muscularis mucosa with splaying of its fibers.